which is one of the following is not an operation for uterine inversion
1. O sullivan
2. Haultain
3. spinelli
4. Fentoni

Correct answer: 4. Fentoni

Explanation: Uterine inversion can be corrected by hydrostatic method of O&;Sullivan or by surgical methods. Surgical procedures for uterine inversion are Haultain's method and spinelli method. Reference:Textbook of obstetrics,Sheila Balakrishnan,2nd edition,page no:407